In which of the following type of burn, there is minimal destruction of the skin:
1. Chemical burns.
2. Electric burns.
3. Dry heat burns.
4. Moist heat burns.

Correct answer: 2. Electric burns.

Explanation: The peculiarity of electric burns is that, there is minimal destruction of the skin, which is involved only at the point of contact with the source. The muscle, the nerve and blood offer least resistance to the electric current and so sustain maximum amount of tissue damage.
Electrical resistance of the skin is markedly reduced by moisture, so ulcers are more often seen in the axilla and antecubital fossa in case of electrical burns of the upper extremity.